Roth's spots are seen in:
1. Bacterial Endocarditis
2. Trauma
3. coats disease
4. Trachoma

Correct answer: 1. Bacterial Endocarditis

Explanation: Roth spots are White Centered Hemorrhages causes of Roth spots: Infective Endocarditis (SABE) Anaemia Collagen vascular disease Leukaemia Hypertensive retinopathy Diabetic Retinopathy Pre-eclampsia Human Immunodeficiency virus Extreme hypoxia Shaken baby syndrome